certain strains of Streptococcus mutans
a have been proved to be the cause of human dental caries by means of control studies
b depend for their cariogenicity on the production of insoluble polysaccharides
c cause dental caries by the production of lactic and other acids from fermentation of sugar
d are a cause of infective endocarditis
e Will induce smooth surface caries in quotes
1. a is false bcde is true
2. a b is false c d e is true
3. a b c is false d e is true
4. abcd is false e is true

Correct answer: 1. a is false bcde is true

Explanation: Strep. mutans may be an important organism but not the only one, but controlled studies in humans cannot conceivably be carried out